Sinus not present at birth is:
1. Ethmoid
2. Maxillary
3. Sphenoid
4. Frontal

Correct answer: 4. Frontal

Explanation: Frontal-Absent at birth-Adult size in20 years-Invades frontal bone(2-4yrs),size increases until teens. Ref.Scott Brown 7/e,Vol 2,p 1320.